Scalene tubercle is a feature of-
1. 1st rib
2. 2nd rib
3. 3rd rib
4. 4th rib

Correct answer: 1. 1st rib

Explanation: Ans. is 'a' i.e., 1st rib o Scalene tubercle is present at the inner border of Is" rib.Superior view of the first rib (left side)